Owl eye inclusion is seen in
1. HSV
2. CMV
3. EBV
4. Hepatitis B virus

Correct answer: 2. CMV

Explanation: Owl's eye appearance is a pattern in medical radiology and histopathology, and may refer to: Owl's eye appearance of inclusion bodies, which is highly specific for cytomegalovirus infection. Owl's eye appearance of the entire nucleus - a finding in Reed-Sternberg cells in individuals with Hodgkin's lymphoma. Owl's eye appearance of the Lentiform nucleus of the basal ganglia on head CT scan images in individuals with cerebral hypoxia Ref: WIKIPEDIA